The smallest diameter of true pelvis is:
1. Interspinous diameter
2. Diagonal conjugate
3. True conjugate
4. Intertuberous diameter

Correct answer: 1. Interspinous diameter

Explanation: True conjugate - 11cm Diagonal conjugate -12 cm Inteuberus diameter -11cm Interspinous diameter -10 cm Ref: Williams Obs 24e pg 32-33.